Androgen receptor antagonists include:
1. Cyproterone
2. Spironolactone
3. Flutamide
4. All of these

Correct answer: 4. All of these